Diagnostic electron microscopy feature of Paragangliomas
1. Small nests of round to ovoid with scarce cytoplasm
2. Mononuclear infiltrate with bizarre nuclei in perineural tissue
3. Lipofuscin deposits in perinuclear, intra lysosomal location
4. Dense neurosecretory granules

Correct answer: 4. Dense neurosecretory granules